Which of the following enzymes are used for liquefaction of thick exudates as in empyema?
1. Streptokinase & NADase
2. Streptokinase & Streptodornase
3. NADase & Hyaluronidase
4. Streptokinase and N acetyl glucosaminidase

Correct answer: 2. Streptokinase & Streptodornase

Explanation: Streptokinase & streptodornase are used for liquefaction of thick exudates as in empyema Enzymes are derived from streptococcus